Paranasal sinuses present at birth ?
1. Frontal and maxillary
2. Ethmoid and maxillary
3. Frontal and ethmoid
4. Sphenoid and ethmoid

Correct answer: 2. Ethmoid and maxillary

Explanation: Ans. is 'b' i.e., Ethmoid and maxillary Maxillary sinus - 4 Develop at birth; completely develop at 9 years Ethmoidal sinus - Develop at birth; completely develop at late puberty Frontal sinus - Develop at 2 year; completely develop at late adolescence Spenoid sinus - Develop at 3-5 years; completely develop at 12-15 years